A 25-year-old woman presents with a 2-week history of febrile illness and chest pain. She has an erythematous, macular facial rash and tender joints, particularly in her left wrist and elbow. A CBC shows mild anemia and thrombocytopenia. Corticosteroids are prescribed for the patient. This medication induces the synthesis of an inhibitor of which of the following enzymes in inflammatory cells?
1. Lipoxygenase
2. Myeloperoxidase
3. Phospholipase A2
4. Superoxide dismutase

Correct answer: 3. Phospholipase A2

Explanation: Corticosteroids Used to suppress the tissue destruction associated with many chronic inflammatory diseases, including RA and systemic lupus erythematosus. Induce the synthesis of an inhibitor of phospholipase A2 and block the release of arachidonic acid from the plasma membranes of inflammatory cells. Myeloperoxidase catalyzes the conversion of H2O2 , in the presence of a halide (e.g., chloride ion) to form hypochlorous acid. Superoxide dismutase reduces the superoxide radical to H2O2.